Wagner and Grossman theory is related to
1. Palatal palsy
2. Vocal cord palsy
3. Facial palsy
4. Hypoglossal palsy

Correct answer: 2. Vocal cord palsy

Explanation: Wagner and Grossman hypothesis which states that cricothyroid muscle which receives innervation from superior laryngeal nerve keeps the cord in paramedian position due to its adductor function. Ref: PL Dhingra Textbook of Ear, Nose and Throat, Edition 7, page - 338